In which of the following condition continuous tracing above pulsed tracing is used in Bekesy audiometry?
1. Otosclerosis
2. Ototoxicity
3. Non-organic hearing loss
4. Meniere's disease

Correct answer: 3. Non-organic hearing loss

Explanation: Bekesy audiometry: It is a self-recording audiometry where various pure tone frequencies automatically move from low to high while the patient controls the intensity. Two tracings, one with continuous and and the other with pulsed tone are obtained. Types of tracings obtained from Bekesy audiometry: Type I: Continuous and pulsed tracings overlap. Seen in normal hearing or conductive hearing loss. Type II: Continuous and pulsed tracings overlap up to 1000 Hz and then continuous tracing falls. Seen in cochlear loss. Type III: Continuous tracing falls below pulsed tracing at 100 to 500 Hz even up to 40-50 dB. Seen in retrocochlear/neural lesion. Type IV: Continuous tracing falls below pulsed lesion at frequencies up to 1000 Hz by more than 25 dB. Seen in retrocochlear/neural lesion. Type V: Continuous tracing is above pulsed one. Seen in non-organic hearing loss.